Post operative abscess treatment of choice nowadays
1. Hydration
2. IV antibiotics
3. Image guided aspiration
4. Reexploration

Correct answer: 3. Image guided aspiration

Explanation: Ans. (c) Image guided aspiration(Ref: Bailey 26th 978)* Modern management of an abscess is by radiological diagnosis using ultrasound or CT guidance followed by drainage.